An early prepubertal growth spurt indicates:
1. Longer treatment time
2. Fast maturing child
3. Slow maturing child
4. An endocrine dysfunction

Correct answer: 2. Fast maturing child